NFHS-3 -
1. 1995
2. 2000
3. 2005
4. 2010

Correct answer: 3. 2005

Explanation: Ans. is 'c' i.e., 2005 National family health surv ey (NFHS):o Is a large-scale, multi-round survey conducted in a representative sample of households throughout Indiao 3 rounds of the survey have been conducted till date,NFHS-1:1992-93NFHS-2: 1998-99NFHS-3:2005-06o Goals of NFHS survey:To provide essential data needed by Ministry of Health & Family Welfare and other agencies for policy andprogramme purposes.To provide information on important emerging health and family welfare issues.